Best view for nasal bone ?
1. Lateral
2. Towne's
3. Cald-well
4. Submentovertical

Correct answer: 1. Lateral

Explanation: Ans. is 'a' i.e., Lateral